Dalen Fuchs nodules are seen in
1. Tubercular iridocyclitis
2. Syphilitic uveitis
3. Posner-schlossman syndrome
4. Sympathetic ophthalmitis

Correct answer: 4. Sympathetic ophthalmitis

Explanation: Dalen-Fuchs nodules are seen in Sympathetic ophthalmitis and also in Vogt- koyanagi- harada( VKH) syndrome. These are formed due to proliferation of pigment epithelium( of the iris , ciliary body and choroid ) associated with invasion by the lymphocytes and epithelioid cells. Located between Bruch membrane of choroid and the retinal pigment epithelium. Ref: kanski's clinical ophthalmology,8th edition, page no. 418